E cadherin gene deficiency is seen in-
1. Gastric ca
2. Intestinal ca
3. Thyroid ca
4. Pancreatic ca

Correct answer: 1. Gastric ca

Explanation: Harshmohan textbook of pathology 7th edition. Familial gastric cancer is strongly associated with germline loss of function mutation in the tumor suppressor gene CDH1, which encoded the cell adhesion protein E- catherin. Loss of function mutation in CDH1 are also present in about 50% of sporadic diffuse gastric tumor, while E- Catherin expression is drastically decreased in the rest. often by hyper methylation and silencing of the CDH1 promoter. This the loss of E Catherin is the key step in the development of diffuse gastric cancer..